"Chains of lakes" appearance seen in
1. Acute pancreatitis
2. Chronic pancreatitis
3. Carcinoma pancreas
4. Strawberry gallbladder

Correct answer: 2. Chronic pancreatitis

Explanation: ERCP in Chronic pancreatitis Detection of early pathologies and simultaneous treatment possible (e.g., duct dilation, stent insertion) Ductal stones, seen as filling defects"Chain of lakes" or "string of pearls" appearance (characteristic feature)Irregularity, dilation of the main pancreatic duct Ref: Sabiston 20th edition Pgno :1531-1536